Throat pack true is:
1. Not used with cuffed endotracheal tubes
2. Removed prior to extubation
3. Well tolerated by awake patient
4. Should be used even after surgery

Correct answer: 2. Removed prior to extubation

Explanation: It is imperative that the pack be removed prior to extubation. No throat pack can be kept in place after extubation, as it can cause choking and respiratory collapse.